Amino acids not coded by triplet codon:
1. Lysine
2. Hydroxyproline
3. Selenocysteine
4. Pyrrolysine

Correct answer: 2. Hydroxyproline

Explanation: B i.e. Hydroxyproline